Complication of peribulbar block
1. Retrobulbar hemorrhage
2. Globe rupture
3. Optic neuritis
4. All

Correct answer: 4. All

Explanation: D i.e. All